Most common type of mesenteric cyst
1. Chylolymphatic
2. Enterogenous
3. Urogenital remnant
4. Dermoid

Correct answer: 1. Chylolymphatic

Explanation: Cysts may occur in the mesentery of either the small intestine (60%) or the colon (40%). Types include ChylolymphaticEnterogenousUrogenital remnant (actually retroperitoneal but project into peritoneum)DermoidAlthough all mesenteric cysts are rare, chylolymphatic is the most common variety, arises in a congenitally misplaced lymphatic tissue.Ref: Bailey and love 27e pg: 1063